Formula for Quetelet's index ?
1. Weight divided by height
2. Height divided by cube root of weight
3. Height minus 100
4. Weight divided by square of height

Correct answer: 4. Weight divided by square of height

Explanation: Ans. is 'd' i.e., Weight divided by square of height